Which of the following is the earliest manifestation of Crohn disease?
1. Stricture
2. Aphthous ulcer
3. Cobblestone appearance
4. Perforation

Correct answer: 2. Aphthous ulcer

Explanation: - Among given options, Aphthous ulcer is the earliest manifestation of crohn's disease - Strincture formation; granuloma formation, cobble stone appearance & perforation are relatively late manifestations